Which one of the listed types of antibodies is the best example of a cold agglutinin that is associated with cold autoimmune hemolytic anemia?
1. An anti-AB IgM antibody associated with isoimmune blood transfusion reaction
2. An anti-I IgM antibody associated with infectious mononucleosis
3. An anti-I IgG antibody associated with rheumatoid anhntis
4. An anti-P IgG antibody associated with paroxysmal cold hemoglobinuria

Correct answer: 2. An anti-I IgM antibody associated with infectious mononucleosis

Explanation: (B) An anti-l IgM antibody associated with infectious mononucleosis # Antibody-mediated destruction of red cells result from either autoimmune reactions or isoimmune reactions.> The latter are due to antibodies from one person that react with red cells from another person. This isoimmune destruction is seen with blood transfusions and hemolytic disease of the newborn.> Autoimmune hemolytic anemias (AlHAs) are hemolytic anemias that are due to the presence of antibodies that destroy red cells.> The AlHAs are divided into two main types; those secondary to "warm" antibodies and those secondary to "cold" antibodies.> The antibodies seen in warm-antibody autoimmune hemolytic anemias react at 37degC in vitro, are composed of IgG, and do not fix complement. Instead, immunoglobulin-coated red blood cells are removed by splenic macrophages that recognize the Fc portion of the immunoglobulin. These warm IgG antibodies are found in patients with malignant tumors, especially leukemia-lymphoma; they are associated with the use of such drugs as C-methyldopa\ and they are also found in the autoimmune diseases, especially lupus erythematosus.> Cold-antibody autoimmune hemolytic anemia (cold AIHA) is subdivided into two clinical categories based on the type of anti- bodies involved. These two types of cold antibodies are cold agglutinins and cold hemolysins.> Cold agglutinins are monoclonal IgM antibodies that react at 4 to 6degC. They are called agglutinins because the IgM can agglutinate red cells due to its large size (pentamer)> Additionally, IgM can activate complement, which may result in IV hemolysis. Mycoplasma pneumonitis and infectious mononucleosis are classically associated with cold-agglutinin formation. In contrast, cold hemolysins are seen in patients with paroxysmal cold hemoglobinuria (PCH)> These cold hemolysins are unique because they are biphasic antierythrocytic autoantibodies. These antibodies arc IgG that is directed against the P blood group antigen. They are called biphasic because they attach to red cells and bind complement at low temperatures, but the activation of complement does not occur until the temperature is increased.> This antibody, called the Donath-Landsteiner antibody was previously associated with syphilis, but may follow various infections, such as mycoplasmal pneumonia.